One PHC covers how much population in hilly area?
1. 10000
2. 20000
3. 30000
4. 50000

Correct answer: 2. 20000

Explanation: Ans. is 'b' i.e., 20000